Erythrasma is caused by -
1. Corynebacterium minutissimum
2. C. diphtheriae
3. C. ulcerans
4. C. vaginale

Correct answer: 1. Corynebacterium minutissimum